Transducin is required for
1. Smell
2. Hearing
3. Taste
4. Vision

Correct answer: 4. Vision

Explanation: Ans. (d) Vision(Ref: Ganong, 25th ed/p. 178)The G protein coupled receptor in rods is called "Transducin''Role of transducin is to activate the enzyme phosphodiesterase that degrades cGMP